A 70 kg man presents with pyloric strenosis resulting from peptic ulcer disease is admitted for resuscitation after one week of prolonged vomiting. The metabolic disturbance is associated with
1. Hypokalemic hyperchloremic metabolic acidosis
2. Hypokalemic hypochloremic metabolic acidosis
3. Hypokalemic hyperchloremic metabolic alkalosis
4. Hypokalemic hypochloremic metabolic alkalosis

Correct answer: 4. Hypokalemic hypochloremic metabolic alkalosis

Explanation: Repetitive vomiting leads to hypochloremic,hypokalemic metabolic alkalosis. the urine is initially alkaline but later becomes acidic ( paradoxical aciduria)